Denker’s operation may result in injury to which nerve?
1. Posterior superior alveolar nerve
2. Anterior superior alveolar nerve
3. Greater palatine nerve
4. Nasopalatine nerve

Correct answer: 2. Anterior superior alveolar nerve